Which of the following is the most specific test to diagnose syphilis -
1. VDRL Test
2. Wassermann Test
3. RPR Test
4. FTA-ABS

Correct answer: 4. FTA-ABS

Explanation: Ans. is 'd' i.e., FTA-ABS